Cavernous respiration is seen in?
1. Cavity
2. Fibrosis
3. Consolidation
4. Interstitial inflammation

Correct answer: 1. Cavity

Explanation: ANSWER: (A) CavityREF: The principles and practice of medicine: a textbook for students and doctors p 395Cavernous respiration is a type of breathing heard when the air in lung passes over a cavity (most commonly due to TB). It may be mixed with or alternate with rales with the cavity contains fluids.